Which of the following inserts into the talus?
1. Tibialis anterior
2. Tibialis posterior
3. Extensor digitorum longus
4. None of the above

Correct answer: 4. None of the above

Explanation: Ans. D. None of the above.The talus is made up of a head, neck, body and posterior process. It articulates with the tibia and fibula in the ankle, and the navicular and calcaneum in the foot. It has many ligamentous attachments but no muscle attachments. There is a groove posteriorly in which the flexor hallucis longus tendon runs. It is important to be aware of the blood supply of the talus; the primary source is the artery of the tarsal canal (derived from the posterior tibial artery); additional supply is from the superior neck vessels (derived from the anterior tibial artery) and the artery of the sinus tarsi (derived form the dorsalispedis).